All muscles of the palate are supplied by pharyngeal plexus, EXCEPT?
1. Tensor veli palatine
2. Palatoglossus
3. Palatopharyngeus
4. None of the above

Correct answer: 1. Tensor veli palatine

Explanation: With the exception of tensor veli palatini, which is supplied by the motor branch of the mandibular division of the trigeminal through the nerve to medial pterygoid, the muscles are supplied by the cranial part of the accessory nerve the pharyngeal plexus.